The retention for class 5 restoration are placed:
1. In mesial and distal areas
2. Occlusal and gingival area
3. In all except the axial wall
4. At expense of axial wall

Correct answer: 2. Occlusal and gingival area